Which of the following conditions cannot be assessed by a cephalogram:
1. Mandibular Lateral asymmetry
2. Vertical facial discrepancy
3. Increase posterior height
4. Decreased anterior height

Correct answer: 1. Mandibular Lateral asymmetry